Erythropoietin is increased in all of the following conditions, except:
1. Hepatocellular carcinoma
2. Renal cell carcinoma
3. Cerebellar Hemangioblastoma
4. Pancreatic carcinoma

Correct answer: 4. Pancreatic carcinoma

Explanation: Ectopic erythropoietin production is associated with renal tumors, cerebellar hemangioblastomas, hepatocarcinoma, benign renal cysts and uterine leiomyoma. Pancreatic carcinoma is associated with ectopic Cushing's syndrome, non-islet cell hypoglycemia, male feminization and intestinal hypermotility. Ref: Harrison's Principles of Internal Medicine, 17th Edition, Page 621, 673; 16th Edition, Page 569, 627; Davidson's Principles and Practice of Medicine, 20th Edition, Chapter 22, Page 909 &910; GEP and Multiple Neuroendocrine Tumors, Edwin L. Kaplan, Chapter 23, Page 537.